Triple arthrodesis does not involve
1. Calcaneocuboid Joint
2. Talanovicular Joint
3. Talocalcaneal Joint
4. Tibiotalar Joint

Correct answer: 4. Tibiotalar Joint

Explanation: Ans. D: Tibiotalar Joint A triple arthrodesis consists of the surgical fusion of the talocalcaneal (TC), talonavicular (TN), and calcaneocuboid (CC) joints in the foot.